Hamman-Rich syndrome is BEST treated with:
1. Vitamin B1
2. INH
3. Low dose steroids
4. None of the above

Correct answer: 4. None of the above

Explanation: There is no specific treatment of benefit in patients with Hamman Rich syndrome. In practice, patients are treated for infection, high dose steroids and high flow oxygen are also given. Experts do not recommend routine use of corticosteroids in these patients. Hamman-Rich syndrome is a rapidly progressive interstitial pneumonia. It usually affects males of 50-60 years. Initially they develop a viral like prodromal illness followed by subacute progressive dyspnea, fever and non productive cough. Chest Xray shows bilateral interstitial infiltrates and chest CT shows diffuse patchy alveolar ground glass infiltrates. Ref: Critical care medicine 2 Ed: Principles of diagnosis and management in the adult edited by Joseph E. Parrillo, M.D page 968.